Mass chemoprophylaxis in an endemic area is given for all except?
1. Leprosy
2. Yaws
3. Trachoma
4. Filariasis

Correct answer: 1. Leprosy

Explanation: Mass chemoprophylaxis is not given for preventing leprosy Ref : Park's Textbook of Preventive medicine